Myocardial isoenzyme of CK which is specific for myocardial infarction is -
1. CK-BB
2. CK-MB
3. CK-MM
4. All of the above

Correct answer: 2. CK-MB